The regimen used for postcoital emergency contraception is
1. Levonorgestrel 0.5 mg + ethinylestradiol 0.1 mg taken twice 12 hour apart
2. Mifepristone 600 mg single dose
3. Levonorgestrel 0.75 mg taken twice 12 hour apart
4. All of the above

Correct answer: 4. All of the above

Explanation: Emergency (postcoital) pill:- These are for use in a woman not taking any contraceptive who had a sexual intercourse risking unwanted pregnancy. The most commonly used and standard regimen is-- * Levonorgestrel 0.75 mg two doses 12 hours apart, or 1.5 mg single dose taken as soon as possible, but before 72 hours of unprotected intercourse. .Yuzpe method which used levonor- gestrel 0.5 mg + ethinylestradiol 0.1 mg, two doses at 12 hour interval within 72 hours of exposure. Recently (2010) a SPRM ulipristal has been approved for emergency contraception. * Ulipristal 30 mg single dose as soon as possible, but within 120 hours of intercourse. Another antiprogestin that has been used, is * Mifepristone 600 mg single dose taken within 72 hours of intercourse. Ref:- kd tripathi; pg num:-322,323